Depression patients in developing countries most prominently show which of the following feature?
1. Low mood
2. Sleep disturbance
3. Vague body aches
4. Suicidal tendancy

Correct answer: 3. Vague body aches

Explanation: Multiple physical symptoms (such as heaviness of head, vague body aches) are particularly common in the elderly depressives and depressed patients from the developing countries (such as India) * MC psychiatric disorder in India: Depression * Neurotransmitter involved: Serotonin and nor-epinephrine * MC cause of suicide: DepressionRisk features of suicide in depression: * Endogenous type of depression * Psychotic depression * MC type of post-puerperal psychosis: Depression * Nihilistic ideas: Seen in depression